The right coronary artery supplies all of the following parts of the conducting system in the heart except:
1. SA Node
2. AV Node
3. AV Bundle
4. Right Bundle branch

Correct answer: 4. Right Bundle branch

Explanation: Answer is D (Right bundle branch) Right bundle is supplied by the Left coronary artery. Right coronary artery supplies the SA node (in 65% cases), AV node, AV bundle or Bundle of His and part of left bundle branch(LBB) Left cronoary artery supplies the right bundle branch (RBB, part of LBB and sometimes the SA node (in 35% cases),